Inhalation method preferred for Bronchial asthma in a child of 3 years old is:-
1. MDI with spacer with face mask
2. MDI with spacer preferred
3. Only MDI directly
4. Rotacap

Correct answer: 1. MDI with spacer with face mask

Explanation: Inhalation method should be chosen on individual basis, but a guideline is as follows:- Children < 4 years old: - MDI with spacer with face mask Children > 4 years old:- MDI with spacer preferred Children > 12 years old: MDI used directly. use of spacer improves drug deposition.